Hutchinson's incisors are present in:
1. Congenital syphilis
2. Tertiary syphilis
3. Secondary syphilis
4. Acquired syphilis

Correct answer: 1. Congenital syphilis